Bird-Ahropod-Man transmission is seen in
1. Plague
2. Japanese encephalitis
3. Paragonimus westermani
4. Plasmodium falciparum

Correct answer: 2. Japanese encephalitis

Explanation: Basic cycles of transmission for JE virus : Pig --> Mosquito --> Pig Ardeid Bird --> Mosquito --> Ardeid Bird JAPANESE ENCEPHALITIS: - Caused by Group-B arbovirus - Vector - Culex triteniorhynchus - Amplifier host - pig ; Actual host - Ardied birds - Accidental "dead-end" host - Man - Mosquito attractants - cattle/ horses - I.P : 5-15 days - Case fatality rate: 30% - Age group commonly affected: 1-15 yrs - Vaccines : Live strain - SA-14-14-2 at 9 AM - 16-24 months Killed strain - Nakayama, Beijing P3